Middle ear deafness can be tested by
1. Babinsky test
2. Chvostek test
3. Finger-nose test
4. Weber's test

Correct answer: 4. Weber's test